Hysteria is characterised by
1. Indifference to suffering
2. Flight of ideas
3. Pressure of speech
4. Autistic thinking

Correct answer: 1. Indifference to suffering

Explanation: (A) Indifference to suffering # The characteristics of HYSTERIA are :> Impulsive, uncontrolled behavior (impulse dyscontrol).> Manipulative, exhibitionistic, emotional, dramatic, and/or seductive behavior (histrionic personality traits).> Absence of objective signs of organic illness.> Presence of multiple vague somatic symptoms, especially in a female patient (masked depression, somatization disorder or Briquet's hysteria).> Hypochondriasis; Any mental illness.> Presence of certain symptoms which are not explainable in the context of present organic illness (functional overlay, conversion symptoms).> Difficult patient; poor doctor-patient communication.> 'Sick' role or 'abnormal illness behavior'.; Psychosomatic disorders.; Malingering. ; Psychosexual dysfunctions.